Commonly used Rodenticide is -
1. Zinc phosphide
2. Copper sulphate
3. Zinc oxide
4. Ferrous sulphate

Correct answer: 1. Zinc phosphide

Explanation: Commonly used rodenticides: Barium carbonate Zinc phosphide Warfarin, diphacinone, coumafuryl, and pindone in multiple doses Park's Textbook of Preventive and Social Medicine, 25th Edition, Pg 847